Von- rosen splint are applicable in
1. Developmental dysplasia of hip joint
2. Congenital talipes equinovarus
3. Congenital vertical talus
4. Tibia mileruae

Correct answer: 1. Developmental dysplasia of hip joint

Explanation: (Developmental dysplasia of hip joint) (202- M)VON- ROSEN'S SPLINT - is an H-shaped melleable splint* Object of splintage is to hold the hips some what flexed and abducted* Used in congenital dislocation / dysplasia of hip jointAlso - Remember* Frog leg or Lorenz cast or Batchelor cast used in CDH* Broomstick plaster used in perthe's disease* Patella Tendon Bearing (PTB) cast used in- Both bones leg fracture* Gutter splint- phalyngeal and metaphalyngeal fractures* Denis Browne splint used in CTEV, Stirrup splint Ankle fractures* Knuckle-bender splint- ulner nerve palsy, Cock up splint - Radial nerve palsy* Milwaukee brace (Cervical thoracolombosacral orthosis) used in Scoliosis* Risser's localizer cast, Turn buckle cast - Scoliosis*** Minerva cast - cerical spine disease* U slab or Hanging cast - fracture of humerus* Tube cast (Cylindrical cast) - used for fracture around knee ( patella)* Halo cast (vest) - for spinal injury* Velpeau bandage and sling and Swathe splint are used in - Shoulder dislocation*** Thromboembolic disease (Pulmonary embolism) is the most common cause of death after Total hip replacement*** (Watson jones operation)* Pectoralis major and minor muscles are the most common congenitically absent muscles in humans*** Pollicization refer to reconstruction of the thumb with a substitute finger (i.e. index finger)* Bohler's Tuber Joint angle and crucial angle of Gissane are measured for intraarticular of calcaniumDevelopment Dvsplasia of the hep (DDH)* More common in female, short stature *** Oligohydramnios is associated with a higher risk of DDH* The hourglass appearance of the capsule may prevent a successful closed reduction* In a child with bilateral dislocation - Waddling gait- unilateral dislocation Trendelenburg's gait** X-ray shows break in shenton's line** Striking feature is widening of perineum & marked lumber lorodosis** Wandering acetabulum is sen in T.B of hip jointsAngles of Importance(i) Cobb's angle - Scoliosis(ii) Kite's angle - CTEV(iii) Meary's angle - Pes cavus(iv) Hilagenreiner's epiphyseal angle - congenital coxa-vera(v) Baumann's angle - Supracondylar Rocker bottom foot or vertical talus is associated with Arthrogrypasis multiplex congenital spina bifida & trisomy 13-18 - (Danhert Radiology Review manual 5th/25)